Which of the following is the most efficacious triptan for rapid relief of acute migraine attack?
1. Sumatriptan
2. Almotriptan
3. Rizatriptan
4. Naratriptan

Correct answer: 3. Rizatriptan

Explanation: Stimulation of 5-HT1B/1D receptors can stop an acute migraine attack. Ergotamine and dihydroergotamine are nonselective receptor agonists, whereas the triptans are selective 5-HT1B/1D receptor agonists. A variety of triptans--sumatriptan, almotriptan, eletriptan, frovatriptan, naratriptan, rizatriptan, and zolmitriptan--are available for the treatment of migraine. Rizatriptan and eletriptan are, on a population basis, the most efficacious of the triptans currently available. Sumatriptan and zolmitriptan have similar rates of efficacy as well as time to onset, with an advantage of having multiple formulations, whereas almotriptan has a similar rate of efficacy to sumatriptan and is better tolerated, and frovatriptan and naratriptan are somewhat slower in onset and are also well tolerated Ref Harrison 20th edition page 3100